which of the following Is used in the treatment of hyperprolactineinia?
1. Cimetidine
2. Methysergide
3. Bromocriptine
4. Ondansetron

Correct answer: 3. Bromocriptine

Explanation: Dopamine actions are always opposite to prolactin Bromocriptine is a dopamine receptor agonist (mainly D2 receptors). Dopamine is the main factors controlling prolactin secretion. Being a agonist it effectively reduces the secretion of prolactin. apart from bromocriptine, cabergoline, pergolide are also used in hyperprolactenemia (REF.Essential of medical pharmacology K D TRIPATHI 6 Edition, Page No - 236)